Village health guide scheme was started in -
1. 1974
2. 1977
3. 1986
4. 1989

Correct answer: 2. 1977

Explanation: A village Health Guide is a person with an aptitude for social service and is not a full time government functionary.The Village Health Guide Scheme on 2 nd October 1977 with the idea of securing people's participation in In the care of their own health.The national target is to achieve one Health Guide for each village or 1000 rural population (refer pgno:903 park 23rd edition)